Stain used for staining fungal elements-
1. Acid fast stain
2. Mucicarmic
3. Methenamine
4. Gram stain

Correct answer: 3. Methenamine

Explanation: Stains used to demonstrate fungus Special stains periodic acid Schiff stain Fungal cell wall -red grocotts methanamine silver stain fungus wall - black Routine staining Hematoxylin and eosin stain Hyphae and ahrospores of dermatophytes seen as basophilic elements in stratum corneum Iadvl textbook and rook textbook of dermatology